A patient presents with low serum calcium, high phosphorus and etevated PTH. Which of the following investigations is least contributory to establish a diagnosis -
1. Vitamin D levels
2. Serum creatinine levels
3. Cyclic AMP response to PTH
4. Urine myoglobin

Correct answer: 1. Vitamin D levels

Explanation: Ans is option 1.. Vit D levels Vit d deficiency is associated with hypophosphatemia and not hyperphosphatemia Renal failure, pseudohypoparathyroidism and increased urinary myoglobin may all be associated with combination of hypocalcemia, hyperphosphatemia and elevated PTH levels Ref Harrison 19/e p2482